For which of the following cancer, retinoids can be used for treatment?
1. Bladder
2. Cutaneous T-cell lymphoma
3. Stomach
4. Liver

Correct answer: 2. Cutaneous T-cell lymphoma

Explanation: Systemic retinoids are approved for the treatment of acne, psoriasis, and cutaneous T-cell lymphoma. Off-label uses include ichthyosis, Darier's disease, pityriasis rubra pilaris, rosacea, hidradenitis suppurativa, chemoprevention of malignancy, lichen sclerosus, subacute lupus erythematosus, and discoid lupus erythematosus. Ref: Burkhart C., Morrell D., Goldsmith L. (2011). Chapter 65. Dermatological Pharmacology. In L.L. Brunton, B.A. Chabner, B.C. Knollmann (Eds), Goodman & Gilman's The Pharmacological Basis of Therapeutics, 12e.